Cavett test done for -
1. Urine alcohol level
2. Blood alcohol level.
3. Urine ethylene glycol
4. Blood ethylene glycol

Correct answer: 2. Blood alcohol level.

Explanation: (B) (Blood alcohol level)(537- KSN Reddy 31th)* Blood is the most suitable and most direct evidence of the concentration of alcohol in brain.* Methods used for determining blood alcohol are:1. Kozelka and Hine test2. Cavett testBasic principle is a reduction of potassium bichromate by the test substance.* For medicolegal purposes, the most desirable is chromatography in which specificity can be ascertained.* Fatal dose - 15 to 250 ml of absolute alcohol consumed in one hour.* Widmark's formula helps in the measurement of blood alcohol level.* CAGE - Questionnaire or SAD - Questionnaire is to check toxicity after Alcohol.* Delirium Tremens - occurs in chronic alcoholics due to:1. Temporary excess2. Sudden withdraw of alcohol3. Shock after receiving an injury such as fracture of a bone4. From acute infection such as pneummia, influenzae, erysipelas.* Muttering delirium is seen with Dhatura.* Marquis's test for Opium.* Marsh's test and Reinsch's test for Arsenic.* Ethylene glycol-antidote is - Fomipizole.* Hangover following alcohol consumption can be treated with Thiamine.ETHYLENE - GLYCOL - Used as a antifreeze, not absorbed through skin, metabolised to glvcoaldehvde, glycolic acid and oxalic acid. It inhibits oxidative phospharylationTreatment -ethanol hemodialysis.* Gcttlers test in done for death by Drowning.* Test for identification of seminal stains:1. Acid phosphatase2. Flourance test3. Barberio's test - gives crystals of spermin-picrate.